Laser capsulotomy is treatment of choice for -
1. POAG
2. Phacolytic glaucoma
3. Posterior capsular after cataract
4. Closed angle glaucoma

Correct answer: 3. Posterior capsular after cataract

Explanation: Ans. is 'c' i.e., Posterior capsular after cataract o Thin membranous after cataract and thickened posterior capsule are best treated by YAG-iaser capsulotomy or discission with cystitome or Zeigler's knife.o Thin after cataract can be cleared centrally by Nd : YAG laser capsulotomy.After cataract (Secondary cataract or posterior capsular opacification)o Posterior capsular opacification (PCO) is seen after ECCE. Opacification of the posterior capsule is caused by postoperative proliferation of cells in the capsular bag and is the most common complication of ECCE.o After cataract may present as thickened posterior capsule, or dense membranous after cataract or Soemmering's ring which refers to a thick ring of after cataract formed behind the iris, enclosed between the two layers of capsule or Elschnig's pearls in which the vacuolated subcapsular epithelial cells are clustered like soap bubbles along the posterior capsule.o After cataract, if thin, can be cleared centrally by Nd: YAG laser capsulotomy. Discission with cystitome or zeiglers knife may also be used. Thick membranous after cataract needs surgical membranectomy.